Which is false regarding cryptococcus neoformans-
1. Grows at 5°C and 37°C
2. It has 4 serotypes
3. Urease negative
4. Causes superficial skin infection

Correct answer: 3. Urease negative